Double-Bubble" sign in X-ray is seen in
1. Colon carcinoma
2. Duodenal atresia
3. Acute pancreatitis
4. Perforation

Correct answer: 2. Duodenal atresia

Explanation: Duodenal atresia